A disease that produces decreased inhibitory input to the internal segment of the globus pallidus should have what effect on the motor area of the cerebral cortex
1. Increased excitatory feedback directly to the cortex
2. No effect
3. Decreased excitatory output from the thalamus to the cortex
4. Increased excitatory output from the putamen to the cortex

Correct answer: 3. Decreased excitatory output from the thalamus to the cortex

Explanation: The decrease in inhibition of globus pallidus internus will make its signals more strong.Globus pallidus internus inhibits thalamus. so inhibition of thalamus increases.Thalamus have an excitatory effect on motor cortex, this signal is decreased as thalamus is inhibited.